Peripheral smear with small pale red cells, anisocytosis and poikilocytosis is suggestive of:
1. Aplastic anemia
2. Iron deficiency anemia
3. Hereditary spherocytosis
4. Megaloblastic anemia

Correct answer: 2. Iron deficiency anemia

Explanation: Anisocytosis , poikilocytosis along with small pale RBC in peripheral smear suggests the diagnosis of iron deficiency anemia. OTHER OPTIONS: - Aplastic anemia presents with Normochromic normocytic anemia - Megaloblastic anemia presents with macrocytic anemia - Hereditary spherocytosis is presents with Normocytic anemia.